The results of the fertilization include the following except
1. Acrosome reaction
2. Restoration of diploid number of chromosome
3. Determination of sex
4. Initiation of cleavage

Correct answer: 1. Acrosome reaction

Explanation: Human embryology Tenth edition inderbir Singh Page no 46 Acrosomal reaction is the biochemical reaction occur during fertilization The glycoprotein of zona pellucida is responsible for induction of the acrosomal reaction. The release of acrosomal enzyme help sperm to penetrate through the zona